All of the following are features of streptomycin drug except:
1. It is an antitubercular drug
2. It can be given orally
3. Effective against g-ve organisms
4. None of the above

Correct answer: 2. It can be given orally